Which of the following is not an adverse effect of chronic amiodarone therapy?
1. Pulmonary Fibrosis
2. hypothyroidism
3. hyperthyroidism
4. Systemic lupus erythematosis

Correct answer: 4. Systemic lupus erythematosis

Explanation: Important drugs that can cause hypothyroidism are iodides, lithium, and amiodarone. Amiodarone inhibits the peripheral conversion of T4 toT3, also interferes with thyroid hormone action and cause hypothyroidism and rarely hyperthyroidism may develop on chronic use. Pulmonary alveolitis and fibrosis is the most serious toxicity of prolonged use. (REF: ESSENTIALS OF MEDICAL PHARMACOLOGY K.D TRIPATHI-6th edition...Page No-516)